Systemic sclerosis shows all except -
1. Acroosteolysis
2. Tufting
3. Calcinosis cutis
4. Digital ulcers

Correct answer: 2. Tufting

Explanation: Ans. is 'b' i.e., Tufting Skin involvement in systemic sclerosiso Skin involvement is a nearly universal feature of systemic sclerosis (SSc).o It is characterized by variable extent and severity of skin. Thickening and hardening,o The fingers, hands, and face are generally the earliest areas of the body involved.o Edematous swelling and erythema may preceede skin induration.o Other prominent skin manifestations include:o Pruritus in the early stageso Edema in the early stageso Sclerodactylyo Digital ulcerso Pitting at the fingertipso Telangiectasiao Calcinosis cutisRadiographs of the hands may revealo Soft tissue calcifications (calcinosis cutis),o Resorption of the distal phalangeal tufts (aero-osieolysis).o Less common radiographic findings are ;Articular erosionsJoint space narrowingDemineralization